A patient was operated 2 months back and at that time a midline incision was used. Now he requires a second operation and this the ideal incision to be used now is
1. A fresh transverse incision
2. The scar of the previous incision is excised and the same incision is used
3. The same incision used without excision of old scar
4. A paramedian incision is to be used

Correct answer: 2. The scar of the previous incision is excised and the same incision is used

Explanation: (B) The scar of the previous incision is excised and the same incision is used # Scar of the previous incision is excised and the same incision is used .> We should not create more scars on patient body unnecessarily.> If it is possible we have use the same scar.